True about V cholera 0139 all except -
1. Clinical manifestations are similar 01 Eltor strain
2. First discovered in Chennai
3. Epidemiologically indistinguishable from 01 Eltor strain
4. Produces 01 Lipopolysaccharide

Correct answer: 4. Produces 01 Lipopolysaccharide

Explanation: Ans. is 'd' i.e., Produces 0-1 lipopolysacchride . V. cholerae have been classified based on somatic antigen '0' (`O' lipopolysaccharide). . There are at least 139 '0' antigen groups (`O' 1, '0'2, '0'3........ '0' 139) . Most of the cases of cholera are caused by 01 group ---> contain 0-1 lipopolysaccharide. . The remaining 138 (`O' 2 to '139) belong to Non '0' 1 group ---> Do not have 0 -1 lipopoly saccharide. . Amongst the Non 01 group, V cholerae '0' 139 causes cholera. It has '0' 139 LPS. About other options . V. cholerae 0-139 was first isolated from a cholera outbreak in Chennai.